Endoscopic ultrasound is extremely useful in staging which tumor?
1. Cancer colon
2. Cancer esophagus
3. Cancer stomach
4. Cancer head of pancreas

Correct answer: 2. Cancer esophagus

Explanation: Ans. (b) Cancer esophagusRef: Bailey and Love 26th Edition, Page 990EUS helps in diagnosis and staging of:* Esophageal cancer (Most useful)* Rectal cancer* Gastric cancer* Pancreatic head cancer.